Muscle pain after anaesthesia is caused by –
1. Vecuronium
2. D-tubocurare
3. Suxamethonium
4. All

Correct answer: 3. Suxamethonium

Explanation: Succinylcholine can cause post-operative muscle pain (myalgia, muscle soreness).